Gate system for pain control at
1. Substantia gelatinosa
2. Dorsal root ganglion
3. Both
4. None

Correct answer: 1. Substantia gelatinosa

Explanation: The gate for pain control is the enkephalinergic inhibitory interneurons situated in substatntia gelatinosa in dorsal horn of spinal cord.